Black colour in triage is for -
1. Ambulatory patients
2. Low priority patients
3. Dead patients
4. High priority patients

Correct answer: 3. Dead patients

Explanation: Ans. is 'c' i.e., Dead patient o The most common triage classification system used international is four colour code system,1. Red - High priority treatment or transfer2. Yellow - Medium priority3. Green - Ambulatory patients4. Black - Dead or moribund patients